Mutation in COL4A5 chain the diagnosis
1. Alport's syndrome
2. Good pasture's syndrome
3. Hereditary Non-polyposis Colon Cancer
4. Xeroderma Pigmentosum

Correct answer: 1. Alport's syndrome

Explanation: Ans. a. Alport's syndrome